Most common complication of cardiac catheterization is:
1. Vascular Access Site Bleeding
2. Arrhythmia
3. Contrast reaction
4. Perforation of heart chamber

Correct answer: 1. Vascular Access Site Bleeding

Explanation: Answer is A (Vascular Access Site Bleeding) The most common complication of cardiac catheterization is bleeding from the vascular access site. This may be seen either early or late after catheterization and may manifest as overt bleeding or as a hematoma.